Short acting mydriatic used in fundoscopy is
1. Atropine
2. Homatropine
3. Cyclopentolate
4. Tropicamide

Correct answer: 4. Tropicamide

Explanation: (Tropicamide) (98 - KDT) (111-KDT6th)Tropicamide - It has the quickest (20 - 40 min) and briefest (2-6 hours) action, but it is a relatively unreliable cyclopegic* However it is satisfactory for refraction testing in adults and as short acting mydriatic for fundoscopy